Not an antidepressant-
1. Amitriptilline
2. Fluoxetine
3. Trazodone
4. Pimozide

Correct answer: 4. Pimozide

Explanation: Ans. is 'd' i.e., Pimozide